The process by which controls are selected in such a way that they are similar to cases with regard to certain clinical variables in a case control study is known as
1. Confounding
2. Matching
3. Bias
4. Sampling

Correct answer: 2. Matching